What is the APGAR score for a baby with RR - 40/min, HR - 80/min, slow and irregular respiration,  grimace on suctioning, completely pink in colour and flexed posture with active movements of limbs
1. 8
2. 6
3. 5
4. 7

Correct answer: 4. 7

Explanation: Features
0
1
2


A - Appearance
Completely blue
Body pink
Extremities blue
Completely pink


P - Pulse rate
Absent
< 100 / min
> 100 / min


G - Grimace
(Response to catheter in nose)
No response
Grimace on stimulation
Cough / Sneeze


A - Activity
 Flaccid
Some flexion
Active motion


R - Respiratory effort
Absent
Slow, irregular
Good cry






 
Score


a) HR - 80 / min 
1


b) Slow and irregular respiration
1


c) Grimace on suction
1


d) Complete pink in colour
2


e) Flexed posture with active
2


movements of limbs
7 ⇒ Total score.